Which of the following is not endemic mycosis?
1. Histoplasmosis
2. Blastomycosis
3. Cryptococcosis
4. Paracoccidioidomycosis

Correct answer: 3. Cryptococcosis

Explanation: 1. ENDEMIC MYCOSES: Each of the four primary systemic mycoses-- coccidioidomycosis, histoplasmosis, blastomycosis, and paracoccidioidomycosis-- is geographically restricted to specific areas of endemicity. Cryptococcosis- is not restricted to any specific area or site